Clinical criteria of brain death include all except
1. Coma
2. Absent brainstem reflex
3. Absent spinal reflex
4. Apnea

Correct answer: 3. Absent spinal reflex

Explanation: Brain Death - Clinical Criteria No respiratory effort (apnea) Absent brainstem reflexes Fixed, mid - dilated pupil Absent corneal reflex Absent oculovestibular reflex (Cold caloric) Absent oculocephalic reflex (Doll's eye movement) Absent gag and cough reflex No response to deep central pain